Regarding prion protein which of the following statment is true:
1. It is protein product coded in viral DNA
2. It catalyses abnormal folding of other proteins
3. It protect disulfide bonds from oxidation
4. It cleaves normal proteins

Correct answer: 2. It catalyses abnormal folding of other proteins

Explanation: Prions propagate by transmitting a misfolded protein state Alteration in the conformation of the protein Normal a-helix structure is converted to b-sheet structure. Acts as a template to guide the misfolding of more protein into prion form. Aggregations of these abnormal isoforms form highly structured amyloid fibers, This altered structure is extremely stable, insoluble and accumulates in infected tissue Causing tissue damage and cell death